Limitation of case fatality rate-
1. Not useful in acute infectious disease
2. Not related to virulence
3. Time period not specified
4. It is not related to survival rate

Correct answer: 3. Time period not specified

Explanation: Limitations of case fatality rate is that time period is not specified.
CFR is typically used in acute infectious disease and is related to virulence of organism.
Case fatality rate is the complement of survival rate.